Which is seen in RNA but not seen in DNA?
1. Adenosine
2. Guanine
3. Uracil
4. Thymine

Correct answer: 3. Uracil

Explanation: In the Watson-Crick base pairing, adenine (A) forms a base pair with thymine (T), as does guanine (G) with cytosine (C) in DNA.In RNA, thymine is replaced by uracil (U).Alternate hydrogen bonding patterns also occur -- particularly in RNA -- giving rise to complex and functional tertiary structures.